An Isograft indicates transfer of tissues between -
1. Unrelated donors
2. Related donors
3. Monozygotic twins
4. From the same individual

Correct answer: 3. Monozygotic twins